Which of the following is true about malaria -
1. Size of RBC is enlarged in Vivax infection
2. Size of RBC is enlarged in Falciparum infection
3. Schuffner's dots are seen in Malariae
4. Relapse is seen in Falciparum infection

Correct answer: 1. Size of RBC is enlarged in Vivax infection

Explanation: vivax falciparum malariae ovalae RBC Enlarged, pale, with Schuffner's dots Normal size, Maurer's clefts, sometimes basophilic stippling Normal, occasionally Ziemann's stippling Enlarged, oval Schuffner's dots fimbriated,prominent TEXTBOOK OF MEDICAL PARASITOLOGY,CKJ PANIKER,6TH EDITION,PAGE NO 75